Which of the following is anti apoptotic gene
1. C-myc
2. P53
3. Bcl-2
4. Bax

Correct answer: 3. Bcl-2

Explanation: Ref, Harrison 17/e p506